Cranial Nerve 8 palsy causes all EXCEPT:
1. Gag reflex
2. Vertigo
3. Motion sickness
4. Tinnitus

Correct answer: 1. Gag reflex

Explanation: Ans. (a) Gag reflexRef : Harrison 19th ed. / 2537-38Damage to the vestibulocochlear nerve may cause the following symptoms:* Hearing loss* Vertigo* False sense of motion* Loss of equilibrium (in dark places)* Nystagmus* Motion sickness* Gaze-evoked tinnitusThe gag reflex has the following pathway* The sensory limb is mediated predominantly by CN IX (glossopharyngeal nerve)* The motor limb by CN X (Vagus nerve).The gag reflex involves a brisk and brief elevation of the soft palate and bilateral contraction of pharyngeal muscles evoked by touching the posterior pharyngeal wall